A 32-year-old woman presents to the clinic for evaluation of symptoms of heat intolerance, palpitations, diarrhea, weakness, and 10 lb weight loss. The symptoms started gradually but are worse over the past 1 week. She has no other medical history and is not taking any medications. Her family history is negative for thyroid diseases.On physical examination, her blood pressure is 90/60 mmHg, heart rate is 110/min, and she has a fine tremor in her hands. The TSH level is suppressed and T3 and T4 are elevated. Which of the following is most likely to precipitate this condition?
1. propylthiouracil administration (PTU)
2. high-dose prednisone therapy
3. beta-adrenergic blockade
4. pneumonia

Correct answer: 4. pneumonia

Explanation: Infection or other acute medical condition is the usual precipitant for thyroid storm. Radioactive iodine treatment or abrupt withdrawal of antithyroid medications is also implicated. The key diagnostic features are fever, tachycardia, and central nervous system dysfunction. PTU and beta-blocker administration are used in the treatment of hyperthyroidism and not associated with precipitating thyroid storm. Salicylate administration has no effect on thyroid function.